Wheelchair sign is seen in?
1. Parkinsonism
2. Duchenne muscular dystrophy
3. Becker's dystrophy
4. Thomsen disease

Correct answer: 1. Parkinsonism

Explanation: PARKINSON DISEASE Usage of Levodopa leads to "on and off phenomenon". When levodopa starts acting a rigid akinetic wheelchair bound Parkinsonism patient will be in a position to get out of a chair and start pushing the wheelchair. When the effect wears off the same patient will be restricted to a wheelchair. This is known as wheelchair sign.